Population is 10,000, of these 20% having disease. The screening test has 95% sensitivity and 80% specificity. PPV is -
1. 54.30%
2. 98.50%
3. 47.50%
4. 20%

Correct answer: 1. 54.30%

Explanation: In this question
Sensitivity = 95%
Specificity = 80%